Adrenal medulla secretes all EXCEPT?
1. Cortisol
2. Epinephrine
3. Nor epinephrine
4. Dopamine

Correct answer: 1. Cortisol

Explanation: Ans. A CortisolRef: Ganong, 22nd ed. ch. 20* Cortisol is secreted by adrenal cortex not medulla.* Norepinephrine, epinephrine, and dopamine are secreted by the adrenal medulla.